All of the following statement regarding measles are true except -a) Rash appears first on legb) Koplik spot are seen on retinac) Long term complication may be seen in form of SSPEd) Caused by RNA viruse) I-P is 2-3 days
1. abc
2. bcd
3. cde
4. abe

Correct answer: 4. abe

Explanation: Measles 

Measles is caused by a RNA virus of paramyxovirus.
Measles in also known as rubella
The only source of infection is a case of measles, carriers are not known to occur.
Infective period → 4 days before and 5 days after the appearance of rash.
Infective material → Secretions of nose, throat and respiratory tract
Age group → 6 month to 3 years.
Immunity → One attack of measles generally confers lifelong immunity. 
Transmission → 


Droplet infection through respiratory tract
Infection through conjunctiva.


Incubation period →


10 days from exposure to onset of fever.
14 days from exposure to appearance of rash.
7 days for live vaccine of measles.

Clinical manifestations
1) Prodromal stage

Begins 10 days after the infection and lasts until day 14.
Characterized by fever, coryza with sneezing and nasal discharge, redness of the eyes, lacrimation and photophobia.
A day or two before the appearance of rash, Koplik's spots appear on buccal mucosa opposite the 1st and 2nd lower molars.
Koplik's spots are pathognonzonic of measles.

2)    Eruptive phase

Maculopapular rash which begins behind the ear and spread rapidly in a few hour over the face and neck extends doWn the body.

3) Post measles stage

Weight loss                      
Growth retardation          
Diarrhea
Cancrum oris        
Reactivation of pulmonary TB     
Candidiasis